Temozolomide is used in:
1. Epilepsy
2. Stroke
3. Brain tumor
4. Multiple sclerosis

Correct answer: 3. Brain tumor

Explanation: Ans. C. Brain TumorChemotherapy for brain Tumora. Carmustine (CCNS) lomustine (BCNS): the side effects of these drugs = delayed bone marrow suppression.b. Temozolomide: Its main indication is anaplastic astrocytoma which is refractory to conventional treatment.